True about implanon:
1. Releases > 67 ug/day of drug
2. Prevent STD
3. Life span is 3 Years
4. Contains LNG

Correct answer: 3. Life span is 3 Years

Explanation: Ans. c. Life span is 3 Years Implanon is a single rod subdermal implant with 68 mg of the progestin etonogestrel (ENG), and an ethylene vinyl acetate copolymer cover.It can be used as contraception for 3 years and then replaced at the same site or opposite arm. It is placed in the medial surface of the upper arm 6 to 8 cm from the elbow in the biceps groove within 5 days of onset of menses.Prolonged and frequent bleeding is the most common adverse effect.